Superior orbital fissure syndrome includes-
1. 3, 4, 5, 6 cranial nerves
2. 3, 2, 4, 5 cranial nerves
3. 2, 6, 3 cranial nerves
4. 2, 5, 6 cranial nerves

Correct answer: 1. 3, 4, 5, 6 cranial nerves